Hormone replacement therapy in post-menopausal women increases risk of all except
1. Breast cancer
2. Stroke
3. Colorectal cancer
4. Thromboembolism

Correct answer: 3. Colorectal cancer

Explanation: Hormone replacement therapy in post-menopausal woman has an increased risk of 

Breast cancer
Stroke
Thromboembolism
Cholecystitis.